Pontiac fever is caused by -
1. Legionella
2. Listeria
3. Scrub typhus
4. Leptospira

Correct answer: 1. Legionella